Neonatal seizures in the following disorders is associated with poor prognosis, except -
1. Hypoglycemia
2. Intraventricular hemorrhage
3. Hypocalcemia
4. Meningitis

Correct answer: 3. Hypocalcemia

Explanation: Ans. is 'c' i.e., Hypocalcemia